Autoimmune haemolytic anemia is seen in:
1. ALL
2. AML
3. CLL
4. CML

Correct answer: 3. CLL

Explanation: Answer is C (CLL) Leukemias specially of the CLL type are associated with Autoimmune hemolytic anemia - Harrison Autoimmune hemolytic anemia of the warm antibody type are caused by leukemias specially of the chronic lymphocytic type & Non Hodgkin lymphoma